Visual area of cortex is supplied by:
1. Anterior cerebral artery
2. Middle cerebral artery
3. Posterior cerebral artery
4. Posterior inferior cerebellar artery

Correct answer: 3. Posterior cerebral artery

Explanation: C i.e. Posterior cerebral artery